Macrophage of Central Nervous System includes
1. Astrocytes
2. Microglia
3. Neuron'
4. Oligodendrocyte

Correct answer: 2. Microglia

Explanation: (B) Microglia # Microglia are tissue macrophages that populate the mammalian central nervous system (CNS) very early in embryonic development. By adulthood, microglia are found in all regions of the brain and spinal cord and comprise 10-15% of the total cells in the CNS.